Which of the following β - blocker has membrane stabilizing action
1. Nadalol
2. Atenolol
3. Propanalol
4. Nebivalol

Correct answer: 3. Propanalol

Explanation: β blockers with membrane stabilizing effect: Carvedilol, Betaxolol, Labetalol, Acebutalol, Metaprolol, Propanolol.
Infact Propanalol has the maximum membrane stabilizing property.